2 year old child with length 85cm and weight of 11kg was found to have serum urea of 49mg/dl, serum creatinine 2mg/dl What is the estimated GFR of this child, as per Schwartz formula?
1. 9
2. 18
3. 48
4. 90

Correct answer: 2. 18

Explanation: schwartz formula for creatinine clearance :
= k  X length / serum creatinine
( k = 0.42)
GFR = 0.42 X 85/2 = 17.8 ≈ 18.